The distinct neurotoxin produced by which Clostridia?
1. Clostridium welchii
2. Clostridium tetani
3. Clostridium septicum
4. Clostridium oedematiens

Correct answer: 2. Clostridium tetani

Explanation: (B) Clostridium tetani # Toxins: Cl. tetani produces at least two distinct toxins - a hemolysin (tetanolysin) and a powerful neurotoxin (tetanospasmin).> Two are antigenically and pharmacologically distinct & their production is mutually independent